All are true for pleomorphic adenoma except:
1. Arises from parotid
2. May turn into malignant
3. Minor salivary gland can be affected
4. None

Correct answer: 4. None

Explanation: They represent 60-70% of all parotid tumors and 90% of submandibular benign tumors M/C age group affected is fourth decade M/C gland involved - parotid gland M/C site affected in parotid gland is - tail of parotid gland They are slow growing painless tumors Histologically, they contain both epithelial and mesenchymal elements and are therefore called as mixed tumors. It can rarely undergo malignant transformation (current otolaryngology 2nd/ed ) TOC - Surgery - Complete surgical i.,xcision of the tumor with uninvolved margins is the recommended treatment Prognosis is excellent with a 95% non-recurrence rate.